IUGR is defined when :-
1. Birth weight is below the tenth percentile of the average of gestational age
2. Birth weight is below 20 percentile of the average of gestational age
3. Birth weight is below the 30 percentile of the average of gestational age
4. Weight of baby is less than 1000 gm

Correct answer: 1. Birth weight is below the tenth percentile of the average of gestational age

Explanation: IUGR is defined as, when the Birth weight is below the 10th percentile of the average of gestational age . Classification of IUGR TYPE SYMMETRIC / TYPE 1 (20%) ASYMMETRIC / TYPE 2 (80%) ONSET Early in utero Later onset ETIOLOGY Congenital infections, genetic disorders Utero - placental insufficiency, maternal malnutrition, hypertension,renal disease PATHOPHYSIOLOGY Impaired cell division Decreased cell number Irreversible Impaired cellular hypertrophy Decreased cell size Reversible CLINICAL FEATURES Inadequate growth of head and body Head: abdomen ratio may be normal Brain is spared, therefore head: abdomen ratio increased PROGNOSIS Poor prognosis More favorable prognosis